LBW is defined as birth weight less than: (Repeat)
1. 2 kg
2. 1 kg
3. 1.5 kg
4. 2.5 kg

Correct answer: 4. 2.5 kg

Explanation: Ans: D (. 2.5 kg) Ref: Nelson's Textbook of Pediatrics. 19th EditionExplanation:Some Important Definitions in NeonatologyLow birth weight: Birth weight of less than 2.5 kg irrespective of gestational ageVery low birth weight: Birth weight of less than 1.5 kg irrespective of gestational ageExtremely low hirth weight: Birth weight of less than 1.0 kg irrespective of gestational ageNeonatal: First 28 days of postnatal lifei reterm: Less than 37 completed weeks of gestationsTerm: After 37 completed weeks of gestationsPost term: After 42 completed weeks of gestationsPast Dates: After 40 completed weeks of gestationsStill birth: Delivering dead fetus after 28 weeks of gestation. (Defn changes with country)Abortion: Expulsion of products of conception before 28 weeks of gestation.Small for Gestational Age (SGA): Weight below the 10th percentile for the gestational ageLarge for Gestational Age (LGA): Weight above the 90th percentile for the gestational ageAppropriate for Gestational Age (AGA): Weight between l0th and 90th percentile for the gestational age